Subepithelial vesicles are characteristic all of the following EXCEPT
1. Bullous pemphigoid
2. Cicatricial pemphigoid
3. Pemphigus
4. Epidermolysis bullosa acquisita

Correct answer: 3. Pemphigus